Burning Mouth Syndrome describes pain associated with
1. Oral lichen planus
2. Oral submucous fibrosis
3. Aphthous stomatitis
4. No detectable oral disease

Correct answer: 4. No detectable oral disease

Explanation: Burning Mouth Syndrome (BMS) is burning or stinging of the mucosa, tips, and/or tongue in the absence of visible mucosal lesions. Van der Waal defined the term Burning mouth syndrome to refer only to idiopathic cases. There is strong predilection with most female patients being menopausal and the age of onset being approximately 50 years.